Following is not a paraphilia:
1. Lesbianism
2. Fetishism
3. Frotteurism
4. Voyeurism

Correct answer: 1. Lesbianism

Explanation: Ans. Lesbianism